Pellegra deficiency of ?
1. Niacin
2. Thiamine
3. Riboflavin
4. Folate

Correct answer: 1. Niacin

Explanation: Ans. is 'a' i.e., Niacin Beri-beri Deficiency of thiamine (Vit B1) Can be dry (neural involvement) Wet (cardiac involvent) Acute Pellagra Niacin (Vit B3) def. Dermatitis Diarrhea Dementia